The following is an example for unusual base
1. Di hydro uracil
2. Adenine
3. Cytosine
4. Uracil

Correct answer: 1. Di hydro uracil

Explanation: It is present in tRNAPresent in the DHU OR D arm of tRNAServe as the recognition site for the enzyme which adds the amino acidRef: DM Vasudevan, 7th edition, page no: 597